The anticoagulant of choice for anticoagulation testing is
1. Heparin
2. EDTA
3. Sodium oxalate
4. 3.2% trisodium citrate

Correct answer: 4. 3.2% trisodium citrate

Explanation: MOA - Removes calcium Preferred uses - platelets studies, coagulation studies, ESR Advantages - preserves labile coagulation factors